Whiff test is done for?
1. Bacterial vaginosis
2. Candida
3. Syphilis
4. Genital tuberculosis

Correct answer: 1. Bacterial vaginosis

Explanation: ANSWER: (A) Bacterial vaginosisREF: Shaw 13th ed p. 129, Novaks Gynecology 12th edition p. 192Repeat from June 2010Bacterial vaginosis is diagnosed on the basis of the following findings:A fishy vaginal odour, which is particularly noticeable following coitus, and vaginal discharge are present.Vaginal secretions are gray and thinly coat the vaginal walls.The pH of these secretions is higher than 4.5 (usually 4.7 to 5.7).Microscopy of the vaginal secretions reveals an increased number of clue cells, and leukocytes are conspicuously absent. In advanced cases of BV, more than 20% of the epithelial cells are clue cells.The addition of KOH to the vaginal secretions (the "whiff" test) releases a fishy, amine-like odor.Culture of G. vaginalis is not recommended as a diagnostic tool because of its lack of specificity.